The function common to neutrophilis, monocyte & macrophages is-
1. Immune response
2. Phagocytosis
3. Liberation of histamine
4. Destruction of old crythrocytes

Correct answer: 2. Phagocytosis

Explanation: The professional phagocytes include many types of white blood cells (such as neutrophils, monocytes, macrophages, mast cells, and dendritic cells). Reff: Ananthanarayanan & Panikers textbook of microbiology 9th edition pg: 138